A woman presents with a thick curdy-white vaginal discharge. The best treatment for her is:
1. Miconazole
2. Metronidazole
3. Nystatin
4. Doxycycline

Correct answer: 1. Miconazole

Explanation: Candidiasis Its seen in Immuno-compromised women, Pregnancy, Chemotherapy, T.B, etc Is a Yeast like fungi Has Thick curdy discharge Petichiae hemorrhages when white are removed Treatment Clotrimazole cream/ pessary Miconazole cream/ pessary Oral: fluconazole, itraconazole, ketoconazole